Conduction in which type of nerve fibres is blocked maximally by pressure
1. C fibres
2. A- alpha fibres
3. A - Beta
4. A- gamma

Correct answer: 2. A- alpha fibres

Explanation: The velocity of conduction through a nerve fiber is directly proportional to the thickness of the axon.
Thickest and fastest is A fibers. Among A fibers, the thickest is Aα. Hence the maximum affected by pressure will be Aα.